ATP dependent transport mechanism-
1. Facilitated diffusion
2. Osmosis
3. Active transport
4. All of the above

Correct answer: 3. Active transport

Explanation: Ans. is 'c' i.e., Active transport Types of transport across cell membrane Carrier protein involvedEnergy requiredConcentration gradientSimple diffusionNoNoAlong (Down hill)Osmosis (Diffusion of H2O)NoNoAlong (Down hill)Facilitated diffusionYesNoAlong (Down hill)Active transportYesYesAgainst (Uphill)ExocytosisNoYesN/A (not applicable)Endocytosis # Pinocytosis & PhagocytosisNoYesN/A# Receptor mediated endocytosisYesYesN/A